Primary Amenorrhea with normal ovaries normal external genitalia and normal breasts is seen in:
1. Mayer-Rokitanski- Kuster - Hauser Syndrome
2. Turner's syndrome
3. Androgen Insensitivity syndrome
4. Noonan syndrome

Correct answer: 1. Mayer-Rokitanski- Kuster - Hauser Syndrome

Explanation: It occur due to Mullerian agenesis and is characterized by normal breast, ovary, pubic and axillary hair and absent, uterus, tubes, cervix and upper 2/3rd vagina. These patients present with primary amenorrhea. Ref: Williams Gynecology, 1st Edition, Page 368; Speroff, 7th Edition, Pages 424, 421; Textbook of Gynecology By DC Dutta, 4th Edition, Pages 405, 406; Pediatric Endocrinology : A Practical Clinical Guide By Sally Radovick, Margaret H. MacGillivray, Page 389